Hand foot mouth syndrome is caused by?
1. Parvovirus 6
2. Parvovirus 19
3. Coxsackie virus A16
4. Coxsackie virus A19

Correct answer: 3. Coxsackie virus A16

Explanation: Ans. (c) Coxsackie virus A16Ref: Jawetz 24th ed ch-36